Commonest cause of pyogenic liver abscess ?
1. Biliary Sepsis.
2. Biliary Colic
3. Appendicitis
4. Sigmoid Diverticulitis

Correct answer: 1. Biliary Sepsis.

Explanation: Ans is 'a' ie biliary sepsis